Sclera is thinnest at:
1. Posterior pole
2. Equator
3. Corneoscleral junction
4. Points of muscular attachments

Correct answer: 4. Points of muscular attachments

Explanation: Ans. Points of muscular attachments